True about ASHA are all except -
1. One per 1000 rural population
2. Mobiliser of antenatal care
3. Female voluntary worker
4. Skilled birth attendant

Correct answer: 4. Skilled birth attendant

Explanation: Ans. is 'd' i.e., Skilled birth attendant Accredited Social Health ActivistiASHA) ASHA is the central component of the National Rural Health Mission (NRHM) National Rural Health Mission (NRIIM) was launched to address the health needs of rural population, especially the vulnerable sections of society o One of the key components of the National Rural Health Mission is to provide every village in the country with a trained female community health activist - `ASHA' or Accredited Social Health Activist. Selected from the village itself and accountable to it, the ASHA will be trained to work as an interface between the community and the public health system. Following are the key components of ASHA: ASHA must primarily be a woman resident of the village - married/ widowed/ divorced, preferably in the age group of 25 to 45 years. o She should be a literate woman with formal education up to class eight. This may be relaxed only if no suitable person with this qualification is available. o ASHA will be the first po of call for any health related demands of deprived sections of the population, especially women and children, who find it difficult to access health services o ASHA will be a health activist in the community who will create awareness on health and its social determinants and mobilize the community towards local health planning and increased utilization and accountability of the existing health services. She would be a promoter of good health practices. She will counsel women on birth preparedness, importance of safe delivery, breastfeeding and complementary feeding, immunization, contraception and prevention of common infections including Reproductive Tract Infection/ Sexually Transmitted Infection ( Is/STI s) and care of the young child o She will arrange escort/accompany pregnant women & children requiring treatment/ admission to the nearest pre-identified health facility i.e. Primary Health Centre/ Community Health Centre/ First Referral Unit (PHC/CHC /FRU). o ASHA will provide primary medical care for minor ailments such as diarrhoea, fevers, and first aid for minor injuries. She will be a provider of Directly Observed Treatment Short-course (DOTS) under Revised National Tuberculosis Control Programme She will also act as a depot holder for essential provisions being made available to every habitation like Oral Rehyd ration Therapy (ORS), Iron Folic Acid Tablet (IFA), chloroquine, Disposable Delivery Kits (DDK), Oral Pills & Condoms, etc. A Drug Kit will be provided to each ASHA. o The general norm will be 'One ASHA per 1000 population'. In tribal, hilly, desert areas the norm could be relaxed to one ASHA per habitation, dependant on workload etc. o ASHA would be an honorary volunteer and would not receive any salary or honorarium. Her work would be so tailored that it does not interfere with her normal livelihood.